Which of the following may cause a biliary obstruction -
1. Ancylostoma
2. Enterobius
3. Strongyloides
4. Clonorchis

Correct answer: 4. Clonorchis